Post exposure vaccination for measles should be done in:
1. 1 day of exposure
2. 2 day of exposure
3. 3 day of exposure
4. 7 day of exposure

Correct answer: 3. 3 day of exposure

Explanation: Ans. C: 3 Day of exposure Rubeola (Measles) Immune Globulin Intramuscular injection of measles (rubeola) immune globulin is indicated for unvaccinated individuals exposed to the disease. Accepted guidelines recommend that the immune globulin should be administered within 3-4 days of exposure The dose recommended by WHO is 0.25 ml/ kg of body weight.